Confabulation is typically seen in
1. Mania
2. Depression
3. Alcoholism
4. Delirium

Correct answer: 3. Alcoholism

Explanation: Confabulation is seen in chronic alcoholism (Korsakoff's psychosis), syphilis, senile dementia, and schizophrenic psychosis.